. In which of the following conditions do the ovaries functions normally?
1. Turner's syndrome
2. Rokitansky-Kuster-Hauser syndrome
3. Androgen insensitivity syndrome
4. Swyer's syndrome

Correct answer: 2. Rokitansky-Kuster-Hauser syndrome

Explanation: • Ovaries develop from genital ridge, whereas fallopian tubes, uterus, cervix and upper part of vagina are formed by mullerian duct.
• In mullerian agenesis which is also called as mayer rokintansky kuster hauser syndrome, fallopian tube, uterus, cervix and upper part of vagina are absent and not ovaries.
• Ovaries are normally functioning.